A two month old infant has undergone a major surgical procedure. Regarding postoperative pain relief which one of the following is recommended –
1. No medication is needed as infant does not feel pain after surgery due to immaturity of nervous system
2. Only paracetamol suppository is adequate
3. Spinal narcotics via intrathecal route
4. Intravenous narcotic infusion in lower dosage

Correct answer: 4. Intravenous narcotic infusion in lower dosage

Explanation: Infants feel pain and analgesia is required to treat them.
Opioids are the mainstay of post-operative pain in newborn, infants and children. Intravenous route is preferred as it provides immediate relief of pain.